Hypothyroidism in sub-Himalayan is due to
1. Iodine
2. Iron
3. Copper
4. Selenium

Correct answer: 1. Iodine

Explanation: 'Iodine deficiency in sub-Himalayan terrain leads to endemic goitre and hypothyroidism”